Which of these statements is FALSE about infective endocarditis in l.V. drug abusers-
1. Candida is a common cause.
2. Pulmonary valve is commonly involved.
3. Staphylococeus aureus is commonest organism.
4. Tricuspid valve is most commonly involved.

Correct answer: 2. Pulmonary valve is commonly involved.

Explanation: Ans. is 'b' i.e. pulmonary valve is commonly involved Infective endocarditis in I.V. drug abusers usually involves the right side of the heart.Tricuspid valve is most commonly involved.Pulmonary valve is involved in fewer cases only.Most common organism causing endocarditis in I.V. drug abusers is =>staphylococcus aureus.Other common organisms are :CandidaEnterococcus fetalisPseudomonasSerratia marcescens